Notching of ribs on X-ray is seen in:
1. PDA
2. ASD
3. Ebstein Sanomaly
4. Coarctation of aorta

Correct answer: 4. Coarctation of aorta

Explanation: Ans. Coarctation of aorta